The vector of JE virus is:
1. Anopheles mosquito
2. Culex mosquito
3. Aedes mosquito
4. All of the above

Correct answer: 2. Culex mosquito

Explanation: Ans. is 'b' i.e., Culex mosquitoCulex tritaeniorhynchus is the major vector worldwide including India and Culex vishnui is the next common vector found in India.